Highest amount of protein is seen in -
1. Soyabeans
2. Groundnut
3. Bengal gram
4. Mysore dhal

Correct answer: 1. Soyabeans

Explanation: Soya beans contain 43.2 G of protein per 100g . Bengal gram contain 17.1g of protein. Groundnut is a dry fruit. REF. PARK'S TEXTBOOK OF PREVENTIVE AND SOCIAL MEDICAL 25Th EDITION. PAGE NO.667)